A 6hours old snake bite patient comes to emergency with mild local edema at the injury site. On examination no abnormalities detected and lab reports are normal. Most appropriate management is
1. Incision and suction
2. Wait and watch
3. Local subcutaneous antisnake venom
4. Intravenous antisnake venom

Correct answer: 2. Wait and watch

Explanation: All patients with a history of snake bite should be observed for 8-12 h after the bite, if the skin is broken and the offending snake cannot be positively identified as non-poisonous. Ref: Krishnan vij ; 5th ed; Page no: 484